Regarding xenon all are true except
1. Inhalational anaesthetic agent  with lower blood- gas partition coefficient
2. Attains lower alveolar concentration
3. Faster induction and recovery
4. Least soluble anaesthetic agent in blood.

Correct answer: 2. Attains lower alveolar concentration

Explanation: Since xenon has lower blood gas partition coefficient, it attains higher alveolar concentration.